Naming component of speech is impaired in all of the following types of aphasia except
1. Broca’s aphasia
2. Wernicke’s aphasia
3. Isolation aphasia
4. Pure alexia

Correct answer: 4. Pure alexia

Explanation: Naming is intact in pure word blindness and pure word deafness